Which of the following glycosaminoglycans does not contain Uronic acid?
1. Hyaluronic acid
2. Keratan Sulfate
3. Dermatan sulfate
4. Heparin

Correct answer: 2. Keratan Sulfate

Explanation: Keratan sulfate: Seen in costal cartilages, cornea, nucleus pulposus and wall of the aortaComp: No URONIC ACIDHyaluronic acid: Sulphate free, not covalently bound to protein, seen in bacteriasForms the ground substance of connective tissue; Seen in the vitreous humor of eye and synovial fluidComp: N-acetyl glucosamine + glucuronic acidDermatan sulfate: N-acetyl galactosamine + L-iduronic acidWeak anticoagulant property. Also called b-heparinHeparin: Anticoagulant and lipid clearing agent. synthesis in the liver. Produced by mast cells(note-intracellular GAG)Also found in lungs, thymus, spleen, skin. A-glycosidic linkages seenComp: GlcN + glcUA/IDUA(5-epimerase converts GlcUA to IDUA)NH2 at C2, OH at C6, GlcUA, and IDUA are sulfatedIt occurs in combination with proteins(serine and gly) (proteoglycans) Harpers Biochemistry; 30th edition